Cardiac output is decreased by
1. Increased Heart rate
2. Decreased Heart rate
3. Increased stroke volume
4. Increased strength of contraction

Correct answer: 2. Decreased Heart rate

Explanation: The amount of blood pumped out of the heart per beat is the stroke volume, is about 70 mL.The output of the heart per unit of time is the cardiac output cardiac output = stroke voume*heart rate Therefore decrease in heart rate decrease cardiac outputIncrease in either of heart rate or stroke volume or both increase cardiac outputRef: Ganong's Review of Medical Physiology Twenty-Third Edition Page No:514